A 25-year-old obese woman who denies any history of alcohol abuse presents with severe abdominal pain radiating to the back. Laboratory results indicate an increase in serum amylase and lipase, with a marked decrease in calcium. Which of the following likely has caused this condition?
1. Abetalipoproteinemia
2. Alcohol
3. Cholelithiasis
4. Cystic fibrosis

Correct answer: 3. Cholelithiasis

Explanation: Leading cause of pancreatitis, particularly in nonalcoholic patients, -Cholelithiasis(gallstones). Gallstones obstruct the pancreatic ducts-Autodigestion of the pancreas by the enzymes it normally secretes into the duodenum (lipases). These lipids then form soaps (saponify) with calcium-Hypocalcemia. Alcohol is another leading cause of pancreatitis. Cystic fibrosis, abetalipoproteinemia, and mumps infection are all less common causes of pancreatitis.